Bisphosphonates are useful in all EXCEPT:
1. Hypercalcemia of malignancy
2. Vitamin D excess
3. Postmenopausal osteoporosis
4. Paget disease

Correct answer: 2. Vitamin D excess

Explanation: ANSWER: (B) Vitamin D excessREF: KDT 6th ed page 333, Lippincot 6th ed page 758, Year Book of Endocrinology 2013 - Page 179See details of Bisphosphonates in Pharmacology 2013 Session 2